Auto antibody specific for SLE -
1. ds DNA
2. Anti RO
3. Anti-topoisomerase
4. Antihistone

Correct answer: 1. ds DNA

Explanation: (A) (ds DNA) (127-Robbin's 9th)Selected autoantibodies associated with presumed autoimmune diseaseAutoantibiody (Specificity)Major Disease Association (s)Likely Role(s) in DiseaseAnti-ds DNA (Double-stranded DNASLE*Formation of immune complexesAnti-Sm (ribonuclear core protein, Sm antigen)SLE* Formation of immune complexesAnti-RNP UI (ribonuclear protine )SLE, mixed connective tissue diseaseFormation of immune complexesAnti-SS-A (Ro), anti-SS-B (LA) (ribunucleoproteins)Sjorgen syndrome, SLERole in Sjogren syndrome not knownAnti-Sci-70 (DNA topoisomerase 1)Systemic sclerosisUnknownAnti-histones (histone proteins)SLE (Drug Induced)Formation of immune complexesAnti-centromere (centromere proteins)Limited scieroderma, systemic sclerosisUnknownAntiphospholipid (phospholipid- protien complexes involved in blood coagulation)Antiphospholipid syndrome, SLEThrombotic episodesAnti-Jol (Histidyl tRNA ligase)Inflammatory myopathiesUnknownAnti-mitochondrialPrimary biliary cirrhosisUnknownAnti-eTg (transglutaminase)Dermatitis herpetiformisUnknownAnti-neutrophil cytoplasmic antibody (ANCA) (proteins in neutrophil cytoplasm)Various vasculitidesFormation of immune complexNeutrophil degranulationAnti-smooth muscleChronic autoimmune hepatitisUnknownEach antibody specificity is detected in 30% to 90% of patients with a particular disease. Asterisks indicate high correlation between the antibody the antibody specificity and the disease.* SLE is characterized by bewildering array of autoantibodies, particularly antinuclear antibody.* Best screening test for SLE is demonstration of antinuclear antibody.* ANCA antibody with peripheral rim distribution is seen in - Anti double stranded DNA.* Libman-sach-endocarditis is seen in SLE.* c-ANCA is typical of Wegner's granulomatosis.* p-ANCA is found in most cases of microscopic polyangitis and Chrug-Strauss syndrome.* Perinuclear localization (P-ANCA) where in most of the autoantibodies are specific for myelo-peroxidase (MPO).According to the WHO six patterns of mutually merging renal lesions are seen in lupus nephritis1. Minimal lesion2. Mesengial lupus nephritis3. Focal segmental LN4. Diffuse proliferative LN5. Membranous LN6. Sclerosing LN"Shrinking Lung Syndrome" seen in SLE.